Which of the following receptor gene has the ability to control TSH secretion?
1. TR alpha 1
2. TR alpha 2
3. TR beta 1
4. TR beta2

Correct answer: 4. TR beta2

Explanation: The THRB gene has two promoters that lead to the production of TR beta 1 and TR bete 2. TR beta 1 is ubiquitous, whereas TR beta 2 has a highly restricted pattern of expression. Mutations in THRB cause the syndrome of resistance to thyroid hormone. TR beta 1 has a specific role in liver metabolism (including the hypocholesterolemic effect of T3). Role of TR beta 2 is in the negative feedback by T3 on hypothalamic TRH and pituitary TSH. TR beta 2 also is important in the development of cones in the retina and in inner ear development. Ref: Brent G.A., Koenig R.J. (2011). Chapter 39. Thyroid and Anti-Thyroid Drugs. In L.L. Brunton, B.A. Chabner, B.C. Knollmann (Eds), Goodman & Gilman's The Pharmacological Basis of Therapeutics, 12e.